Treatment of choice in acute congestive glaucoma-
1. Pilocarpine
2. Laser iridotomy
3. Timolol
4. Trabeculoplasty

Correct answer: 2. Laser iridotomy

Explanation: 245 Laser iridotomy is the definitive treatnent in acute congestive glaucoma . Gonioscopy should be performed as soon as cornea becomes clear. Laser PI should be performed if PAS are seen in <270degangle . Laser peripheral iridotomy re establishes communication between posterior and anterior chamber, so it bypasses the pupillary block and immediately relieves the crowding of the angle. Ref: Comprehensive Ophthalmology AK Khurana 6th edition chapter-10 page no: